The transmembrane region of protein is likely to have:
1. A stretch of hydrophilic amino acids
2. A stretch of hydrophobic amino acids
3. A disulphide loop
4. Alternating hydrophilic and hydrophobic amino acids

Correct answer: 2. A stretch of hydrophobic amino acids

Explanation: Ans. (b) A stretch of hydrophobic amino acids(Ref: Ganong, 25th ed/p.)Integral membrane proteins are also called as Transmembrane proteins because they are present in both inside and outside of membrane. They have both hydrophilic and hydrophobic regions (Amphipathic)Hydrophobic region is present inside and hydrophilic region is present at the ends of bilayer